Lancefield classification based on:
1. M protein
2. Carbohydrate antigen
3. Cell wall peptidogglycan
4. T protein

Correct answer: 2. Carbohydrate antigen

Explanation: Carbohydrate antigen